Ear papilloma is a type of
1. Wart
2. Exostosis
3. Cutaenous horn
4. Dermoid cyst

Correct answer: 1. Wart

Explanation: Ear papilloma is a type of wart.Squamous papillomas (SPs) are benign neoplastic lesions usually affecting the skin, oral mucosa, upper aerodigestive tract and genital organs. It is believed that the human papilloma virus (HPV) is an etiological factor of papillomas; thus, they are also called viral warts Ref Harrison 20th edition pg 1267